True about anaesthesia breathing circuit is
1. Cylinder is a part of high pressure system
2. Oxygen flush delivers less than 35 litres
3. Oxygen flush delivers more than 135 litres
4. Pipelines is a part of low pressure system

Correct answer: 1. Cylinder is a part of high pressure system

Explanation: Cylinders -High pressure system Pipelines -Intermediate pressure system Oxygen Flush delivers 30 to 75lts and it is a part of intermediate pressure system